Recommended vaccines for rabies ?
1. Semple
2. Duck embryo vaccine
3. Suckling mouse brain vaccine
4. HDCV

Correct answer: 4. HDCV

Explanation: Ans. is 'd' i.e., HDCV . A Cell culture vaccines ( HDCV, chick embryo fibroblast, vero continous cell line) are most potent safer with fewer side effects and require fewer injections than the others. . Because of their potency and low cost, second generation tissue culture vaccines ( chick embryo fibryoblast, vero continous cell line) are preferred. . So, the recommended vaccines for rabies are second generation tissue vaccines? *) Chick embryo fibroblast ii) Vero continous cell line . As these vaccines are not given in option, preferred alternative is human diploid cell vaccine (HDCV).